The following structures may be injured during surgery to repair an inguinal hernia:
1. The ilioinguinal, genitofemoral, Iliohypogastric, and lateral femoral cutaneous nerves
2. The femoral nerve
3. The popliteal nerve
4. The nerve to the psoas major muscle

Correct answer: 1. The ilioinguinal, genitofemoral, Iliohypogastric, and lateral femoral cutaneous nerves

Explanation: Any of these nerves may be divided, crushed, or entrapped by suture or mesh during repair of a groin hernia. The lateral femoral cutaneous nerve is vulnerable especially during laparoscopic hernia repair.